One-year-old male child presented with poor urinary stream since birth. The investigation of choice for evaluation is –
1. Voiding cystourethrography (VCUG)
2. USG bladder
3. Intravenous urography
4. Uroflowmetry

Correct answer: 1. Voiding cystourethrography (VCUG)

Explanation: Poor urinary stream since birth suggests urinary tract obstruction (usually intravesical).
Most common cause of urinary tract obstruction in a male child is → posterior urethral valve.
And the best diagnostic method for posterior urethral valve is voiding cystourethrogram.